Rasburicase is a newer drug used in gout. It act by :
1. Decreasing urate synthesis
2. Increasing urate oxidation
3. Decreasing intestinal absorption of uric acid
4. Increasing renal excretion of uric acid

Correct answer: 2. Increasing urate oxidation